Which of the following markers is not typically expressed by neuroendocrine tumours?
1. Synaptophysin
2. Chromogranin
3. CD56
4. CK7

Correct answer: 4. CK7

Explanation: CK7 is an epithelial cell marker and is positive in carcinomas (especially the epithelial tumours arising from foregut). The following immunohistochemical markers are positive in neuroendocrine neoplasms: Synaptophysin Chromogranin A CD56 Neuron specific enolase (NSE)